Which of the following is not a cognitive error/dysfunction :
1. Catastrophic thinking
2. Arbitrary inference
3. Overgeneralization
4. Thought block

Correct answer: 4. Thought block

Explanation: Primary cognitive errors : Arbitrary inference, selective abstraction, over - generalization, magnification & minimization, catastrophic thinking, Absolutistic dichotomous thinking, personalization / self-references.
Additional cognitive errors : Disqualifying the positive, emotional reasoning, should statement, labeling & mislabeling.